`Cavitating lesions' in the lung are found in:
1. Squamous cell carcinoma
2. Adenocarcinoma
3. Small cell carcinoma
4. Large cell carcinoma

Correct answer: 1. Squamous cell carcinoma

Explanation: Ans. Squamous cell carcinoma